Virus can be isolated from clinical samples by cultivation in the following except:
1. Tissue culture
2. Embryonated eggs
3. Animals
4. Chemically defined media

Correct answer: 4. Chemically defined media

Explanation: Ans. (d) Chemically defined media Ref Ananthanarayan 8/e 450, 9/e, p 451 Isolation of virus Method of isolation consists of: "Inoculation into animals, eggs or tissue culture after the processed to remove bacterial contaminants." Ananthanarayan 8/e, p 450, 9/e, p 451 As many viruses (adenoviruses, enteroviruses) are frequently found in normal individuals, so only recovery of viral agent from patient doesn't prove that it is the causative agent of the patient illness. Organism not grown in artificial cultural media are: * Chlamydia * Rickettsia Rhinosporidium * Pathogenic treponemes * M. leprae Pneumocystis * Viruses.